Most common functional pancreatic endocrine tumor associated with MEN 1 is:
1. Zollinger-Ellison syndrome
2. Insulinoma
3. Glucagonoma
4. VIPoma

Correct answer: 1. Zollinger-Ellison syndrome

Explanation: Functional pancreatic endocrine tumor in MEN 1 : 54% develope Zollinger-Ellison syndrome, 18% insulinomas, 3% glucagonomas, 3% VIPomas. Reference: Harrisons Principles of Internal Medicine, 18th Edition, Page 3060